Mc benign epithelial ovarian tumor is
1. Serous cystadenoma
2. Mucinous cystadenoma
3. Brenner tumor
4. Ovarian fibroma

Correct answer: 1. Serous cystadenoma

Explanation: Serous cystadenoma and cystadenocarcinoma
Serous cystadenoma and cystadenocarcinoma are amongst the most common of cystic ovarian neoplasms, accounting about 50% of all ovarian tumours; of these, 60-70% are benign, 15% borderline and 20-25% are malignant.